Longitudinal incision with Z plasty closure is used in which of the following
1. Hand surgery
2. Breast surgery
3. Thyroid sugery
4. Hernia surgery

Correct answer: 1. Hand surgery

Explanation: Answer- A. Hand surgeryZ-plasty is a versatile plastic surgery technique that is used to improve the functional and cosmetic appearance of scars. It can elongate a contracted scar or rotate the scar tension line.Longitudinal incision with Z plasty closure is used in the management of duputryens contracture of hand.